Which of the following is referred to as Luxatio erecta?
1. Tear of the glenoid labrum
2. Inferior dislocation of shoulder
3. Anterior dislocation of shoulder
4. Defect in the humeral head

Correct answer: 2. Inferior dislocation of shoulder

Explanation: "Inferior (downward/subglenoid) dislocation of shoulder is known as luxatio erecta". Inferior dislocation of shoulder It is caused by severe hyper abduction force. With the humerus as the lever and acromion as fulcrum, the humeral head is lifted across the inferior rim of the glenoid socket and pokes into axilla (subglenoid position). It is rare and also called luxatio erecta because the humeral head is subluxated (dislocated anteriorly and humerus shaft points upwards (erected). The starting picture of a patient with his/her arm locked in almost full abduction/ elevation, should make the diagnosis quite easy. The patient comes with his/her arm fixed almost by the side of the head. Potentially serious consequences e.g. neurovascular damage is quite common. It is reduced by pulling upward in the line of abducted arm with countertraction downwards. Ref: Rockwood and Green's Fractures in Adult 6/e, Page 1287.